Suspiciousness is a characteristic feature of -
1. Paranoid personality disorder
2. Schizoid personality disorder
3. Schizotypal personality disorder
4. Anankastic personality disorder

Correct answer: 1. Paranoid personality disorder

Explanation: Ans. is 'a' i.e., Paranoid personality disorder Paranoid personality disordero It is characterized by generalised mistrust and Suspiciousness about the motives and actions of others and a tendency to interpret them as malevolent. The patient believes thatOthers are exploiting or deceiving the person.Friends are untrustworthy and not loyal.The spouse/partner is unfaithful.There is hidden meaning in neutral or friendly remarks.